Which of the following statements is true
1. Chronic myeloid leukemia occurs beyond 50 years of age
2. Hairy cell leukemia in less than 50 years has a good prognosis
3. Acute lymphoid leukemia in less than 1 year has a poor prognosis
4. Chronic lymphocytic leukemia occurs in less than 50 years of age

Correct answer: 3. Acute lymphoid leukemia in less than 1 year has a poor prognosis

Explanation: There are 4 main types of leukemia, based on whether they are acute or chronic, and myeloid or lymphocytic: Acute myeloid (or myelogenous) leukemia(AML) Chronic myeloid (or myelogenous) leukemia(CML) Acute lymphocytic (or lymphoblastic) leukemia (ALL) Chronic lymphocytic leukemia (CLL)